The process by which a base sequence of messenger RNA is synthesized (by a RNA polymerase) on a template of complementary DNA is called:
1. Transcription
2. Transduction
3. Translation
4. Translocation

Correct answer: 1. Transcription